Herring Breuer reflex is an increase in ?
1. Duration of inspiration
2. Duration of expiration
3. Depth of inspiration
4. Depth of expiration

Correct answer: 2. Duration of expiration

Explanation: Ans. is 'b' i.e., Duration of expirationThe Hering-Breuer inflation reflex is an increase in the duration of expiration produced by steady lung inflation, and the Hering-Breuer deflation reflex is a decrease in the duration of expiration produced by marked deflation of the lung.